Tasks that involve exposure blood, body fluids or tissues are classified by OSHA regulations under category:
1. I
2. II
3. III
4. IV

Correct answer: 1. I